A boy is planning to travel by bus. Which of the following drug can be used to prevent motion sickness in this person?
1. Promethazine
2. Cetrizine
3. Loratidine
4. Fexofenadine

Correct answer: 1. Promethazine

Explanation: 1st Generation 2nd Generation Cross BBB, cause sedation Do not cross BBB, no sedation Arch - Anticholinergic SLE occur No Ach Useful forMotion SicknessDrug induced parkinsonismMuscular dystoniasAllergy Useful only for allergy Promethazine (max.action)DiphenhydramineDiphenhydrinatePheniramine Chlorpheniramine CyclizineCinnarizine Terfinadine - not used (TDP)Fexofenadine - Terfinadine metaboliteAstemizole - not used (TDP)LoratidineDes loratidineCetrizine, LevocetrizineAzelastine, Olapatadine - Topical